Which of the following type of pontic is best suited for long term provisional restoration:
1. Metal ceramic pontic.
2. All- Metal pontic.
3. Resin veneered pontic.
4. Any of the above.

Correct answer: 3. Resin veneered pontic.

Explanation: • Less strength compared to all metal pontics
• Poor abrasion resistance
• Staining at the resin metal interface
• Permeable to oral fluids
Because of all these disadvantages, it cannot be used as a permanent restoration.